An elderly gentleman develops severe depression. This condition is called:
1. Involutional melancholia
2. Late onset melancholia
3. Pseudo-dementia
4. Atypical depression

Correct answer: 1. Involutional melancholia

Explanation: Involutional melancholia was described by Emil Kraepelin. It is characterized by severe and agitated depression in elderly individuals. It can be associated with secondary delusions, hallucinations and other psychotic experiences. It is quite common to see hypochondriacal ideas/delusions in these individuals. Atypical depression has carbohydrate craving rather than avoidance